Expressed breast milk can be store at room temperature for -
1. Less than 2 hours
2. 2-3 hours
3. 4-5 hours
4. 6-8 hours

Correct answer: 4. 6-8 hours

Explanation: Expressed Breast Milk If mother is not in a position to feed her baby (e.g., Ill mother, preterm baby, working mother etc..) she should express her milk in a clean wide-mouthed container and this milk should be fed to her baby. EBM can be stored at room temperature for 6-8 hours, in a refrigerator for 24 hours and freezer at - 20degC for 3 months Ref: OP Ghai Essential pediatrics Pgno : 149